Adjuvant used in DPT vaccine is
1. Zinc
2. Aluminium
3. Copper
4. Magnesium

Correct answer: 2. Aluminium

Explanation: Ans. is 'b' i.e. Aluminium DPT vaccine is of two types : plain & adsorbedAluminium phosphate or Aluminium hydroxide is used as adsorbent.Adsorption increases the immunological effectiveness.WHO recommends use of only adjuvant DPT vaccines in immunization programmes?Also know - Pertussis component in DPT vaccine enhances the potency of the diphtheria toxoid.